In Bronchiolitis followings is/are seen –a) Seen in children 5 months to 3 years of ageb) Caused by streptococcus pheumoniaec) Chest X–ray shows hyperinflation bilaterallyd) Symptomatic treatment is givene) Antibiotics should be started
1. ab
2. bc
3. bd
4. cd

Correct answer: 4. cd